Ethanol increases urine output by
1. Inhibiting Na+ reabsorption
2. Suppressing ADH secretion
3. Increasing glomerular filtration rate
4. Suppressing H+ secretion

Correct answer: 2. Suppressing ADH secretion

Explanation: Alcohol inhibits the pituitary secretion of anti-diuretic hormone (ADH), which acts on the kidney to reabsorb water. Alcohol acts on the hypothalamus/pituitary to reduce the circulating levels of ADH. When ADH levels drop, the kidneys do not reabsorb as much water; consequently, the kidneys produce more urine.Ref: Ganong's Review of Medical Physiology, 23rd edition, page no: 667